Basic drug is more excreted in -
1. Alkaline urine
2. Acidic urine
3. Neutral pH
4. Excretion is not related to pH

Correct answer: 2. Acidic urine

Explanation: Ans. is 'b' i.e., Acidic urine Acidification of urineo Basic drugs are more ionized at acidic pH.o So, acidification of urine should be done in poisoning of these drugso Examples of such basic drugs are morphine, amphetamine, dexfenfluramine.o Acidification of urine is done by iv infusion of arginine hydrochloride followed by ammonium chloride (NH4C1) by mouth. -- Laurence 9th/e 156Alkanization of urineo Acidic drugs are more ionized (lipid insoluble / polar / water soluble) at alkaline pH.o So, they cannot be absorbed from tubular lumen, i.e. their excretion by kidney is enhanced by alkanization of urineo Such acidic drugs are Barbiturates and Salicylateo Alkanization of urine is done by i.v. infusion of sodium bicarbonate.